Embryonic hemoglobin is -
1. Adult hemoglobin
2. Fetal hemoglobin
3. Gower
4. None

Correct answer: 3. Gower

Explanation: Ans. is 'c' i.e., Gower